The lumbar region of the vertebral column permits all of the following movements except:
1. Flexion
2. Extension
3. Lateral flexion
4. Rotation

Correct answer: 4. Rotation

Explanation: D i.e. Rotation